Which of the following agents are useful in medical treatment of variceal bleeding?
1. Octreotide
2. Pantoprazole
3. Somatotropin
4. Dexamethasone

Correct answer: 1. Octreotide

Explanation: Ans. (A) Octreotide(Ref: Harrison's Principals of Medicine 17/e p1977)Management of Variceal BleedingA. Prevention of re-bleedingNon selective beta blockers (e.g. propranolol)Variceal band ligationB. Management of acute bleedStabilize with fluids and bloodOctreotideVasopressin (Not preferred now)Balloon tamponade:i. Sengstaken-Blackmoreii. Minnesota TubeVariceal ligationVariceal sclerotherapy